Pure Aryans have which type of skull
1. Mesaticephalic
2. Brachycephalic
3. Doliocephalic
4. Plagiocephaly

Correct answer: 3. Doliocephalic

Explanation: Type of skull cephalic index race Dolicocephalic 70-75 Aryans, aborigines and Negroes Mesaticephalic 75- 80 Europeans and Indians Brachycephalic 80-85 Mongolians Ref: FORENSIC MEDICINE AND TOXICOLOGY Dr PC IGNATIUS THIRD EDITION PAGE NO 67